In which fetal presentation vaginal delivery can be expected:
1. Face presentation when the chin lies direct to the sacrum
2. Brow presentation
3. Shoulder presentation
4. Face presentation when the chin lies under the symphysis pubis

Correct answer: 4. Face presentation when the chin lies under the symphysis pubis

Explanation: Vaginal delivery is not possible in:

Brow presentation
Shoulder presentation (transverse lie)
Mentoposterior presentation of face (i.e. when chin lies directed to sacrum)

In mentoanterior, i.e when chin lies under the symphysis pubis – vaginal delivery is possible.